Iodine is transported to the thyroid gland by ?
1. Active transport
2. Diffusion
3. Passive transport
4. Pinocytosis

Correct answer: 1. Active transport

Explanation: Ans. is 'a' i.e., Active transport Iodine uptake for thyroid hormone synthesis:Iodine uptake mediated by thyroid follicular cells from the blood plasma is the first step for the synthesis of thyroid hormones.This ingested iodine is bound to serum proteins, especially to albumins.The rest of the iodine which remains unlinked and free in bloodstream, is removed from the body through urine.Basolateral membrane of thyroid cells (follicular cells) have active transport system for iodine uptake - Na+ : I- symporter (NlS) (Secondary active transport).This trapping stimulated by TSH,